Among the principle of primary health care, the one which is not included is -
1. Intersectoral coordination
2. Appropriate technology
3. Equitable distribution
4. Information, education and communication

Correct answer: 4. Information, education and communication

Explanation: principles of primary health care equitable distribution Community participation Intersectoral coordination Appropriate technology (refer pgno:892 park 23rd edition)